Which one of the following is not associated with rheumatoid arthritis
1. Pleural effusion
2. Pulmonary hypertension
3. Cricoarytenoid arthritis
4. None

Correct answer: 4. None

Explanation: Ref - Davidsons 23e p1024